Which is not a macrophage -
1. Monocyte
2. Microglia
3. Kupffer cells
4. Lymphocytes

Correct answer: 4. Lymphocytes

Explanation: Macrophages take various forms (with various names) throughout the body (e.g., histiocytes, Kupffer cells, alveolar macrophages, microglia, and others), but all are part of the mononuclear phagocyte system. Reff: Ananthanarayanan & Panikers textbook of microbiology 9th edition pg: 137